Hormone which is not increased in stress-
1. Insulin
2. Cortisol
3. Glucagon
4. Epinephrine

Correct answer: 1. Insulin

Explanation: Ans. is 'a' i.e., Insulin * Sudden exposure to any type of stress (including surgical stress) initially produces the sympathetic alarm reaction. The alarm reaction consists of a generalized and profuse sympathetic neural discharge as well as an increased in adrenal medullary secretion. If the stressful stimulus persists, the short lived alarm reaction is followed by a complex neuroendocrine response which may last hours, days or even weeks. Such a sustained neuroendocrine response is typically seen in patients who undergo major abdominal surgery or in patients with multiple fractures or extensive burns. The neuroendocrine response and consequent metabolic disturbances are as follows.* The hypothalamus mediated neuro-endocrine response leads to increased secretion of ACTH, Cortisol (glucocorticoid), growth hormone, adrenal medullary catecholamines (epinephrine), thyroxine and antidiuretic hormone (ADH).* Increased sympathetic discharge to the renal vessels coupled with hypovolemia (due to blood loss etc.) increase the secretion of renin, angiotensin II and aldosterone (because of activation of renin-angioensin system).* Increased sympathetic discharge to the pancreas depresses insulin secretion and promotes the secretion of glucagon.* There is a decrease in the secretion of pituitary gonadotropin (LH, FSH).